Best investigation to diagnose Meckel's diverticulum?
1. X-ray abdomen
2. Ultrasonography
3. Barium study
4. Tc 99m Pertectinate scan

Correct answer: 4. Tc 99m Pertectinate scan

Explanation: .* Technetium (Tc99) radioisotope scan is very useful (90-95% accuracy). Ninety per cent of heterotrophic gastric mucosa can be identified in Meckel's diverticulum by radioisotope study. It can detect Meckel's divei-culum with minimal bleeding also (0.1 ml/minute). So it is very useful investigation in children presenting with bleeding. * X-ray abdomen to see complications like obstruction, perforation. * Laparoscopy is very useful. * Enteroclysis/small bowel enema under fluoroscopy may show the Meckel's diverticulum. It is probably the most accurate investigation. ref:SRB's manual of surgery,ed 3,pg no 798